After removal of granulation tissue from periodontal
pocket the hard structure seen is
1. Periosteum
2. Transseptal fibres
3. Sharpey's fibres
4. Organized granulation tissue

Correct answer: 2. Transseptal fibres